All the following are Autosomal Dominant EXCEPT
1. Cronkhite Canada syndrome
2. Bannayan Ruvalcaba Riley syndrome
3. Peutz Jegher's syndrome
4. Gardner's syndrome

Correct answer: 1. Cronkhite Canada syndrome

Explanation: Ans. (a) Cronkhite Canada syndrome(Ref: R 9th/pg 140)Cronkhite Canada syndrome is non-inherited condition occurring in old age with features of loss of taste, intestinal polyps, hair loss and nail growth problem.